All circulate in blood except-
1. HBcAg
2. Anti HBC
3. HBeAg
4. HBsAg

Correct answer: 1. HBcAg